Phenylketonuria is caused by deficiency of
1. Tyrosine transminase
2. Tyrosine hydroxylase
3. Phenylalanine transaminase
4. Phenylalanine hydroxylase

Correct answer: 4. Phenylalanine hydroxylase

Explanation: Deficiency of Phenylalanine hydroxylase is the cause of PKU. The genetic mutation may be in such a way that either the enzyme is not synthesized or a non-functional enzyme is synthesized.Ref: DM Vasudevan - Textbook of Biochemistry, 7th edition, page no: 236